Purpose of gene therapy:
1. Replacement of abnormal gene by normal gene
2. Replacement of normal gene by abnormal gene
3. Knock out of abnormal gene
4. Introduction of viral gene

Correct answer: 1. Replacement of abnormal gene by normal gene

Explanation: Ans. A. Replacement of abnormal gene by normal geneNovel area of therapeuticsIntracellular delivery of genes to generate a therapeutic effect by correcting an existing abnormalityDivided into1. Somatic cell gene therapy: Gene is introduced into somatic cells.2. Germ cell gene therapy (Transgenic animal)